Periampullary region carcinoids are characteristically seen in:
1. Multiple Endocrine Neoplasia 1
2. Von Hippel Lindau disease
3. Von Recklinghausen's disease
4. Cri du chat syndrome

Correct answer: 3. Von Recklinghausen's disease

Explanation: Von Recklinghausen's disease patients develop an upper GI carcinoid tumor, characteristically in the periampullary region (54%). They contain somatostatin immunocytochemically. Reference: Harrisons Principles of Internal Medicine, 18th Edition, Page 3060